Which of the following is not a component of coenzyme A -
1. Pantothenic acid
2. Adenylic acid
3. Sulfhydryl group
4. Acetic acid

Correct answer: 4. Acetic acid